Which stain is used for Corynebacterium diphtheriae ?
1. Geimsa
2. Albert
3. PAS
4. India ink

Correct answer: 2. Albert

Explanation: Ans. is b' i.e., AlbertThe diphtheria bacillus was first observed and described by Klebs (1883) but was first cultivated by Loeffler (1884).Therefore, it is known as Klebs - Loeffler bacillus (KLB).Corynebacterium diphtheria is gram positive slender rod (bacilli) which is noncapsulated and non-motile.The bacilli are arranged in a characteristic fashion in smears, being at various angles to each other, resembling the letter V or L Chinese letter or .nneiform arrangement. There is chracteristic 'Clubbed appearance'.Characteristic feature is irregular staining due to presence of granules, called Babes Ernest or volutin granules. These granules are also called metachromatic granules or polar bodies.